Hutchinson triad includes all except?
1. Sabre skin
2. Eight nerve deafness
3. Upper incisor notch
4. Interstial keratitis

Correct answer: 1. Sabre skin

Explanation: Ans. (a) Sabre skin(Ref: Clinical Microbiology Reviews 12 (2): 187-209)Hutchinson's triad-interstitial keratitis, Hutchinson incisors, and eighth nerve deafness